Subcapsular 'sinuses are seen in -
1. Spleen
2. Thymus
3. Thyroid
4. Lymph node

Correct answer: 4. Lymph node

Explanation: Subcapsular sinus lies immediately deep to the capsule of lymph node.